Precursor of norepinephrine
1. Tryptophan
2. Tyrosine
3. Methionine
4. Asparagine

Correct answer: 2. Tyrosine

Explanation: Catecholamines are derived from tyrosine.They are so named because of the presence of catechol nucleus.They include epinephrine, norepinephrine and dopamine.They are produced by the adrenal medulla and sympathetic ganglia. Tyrosine is first hydroxylated to DOPA by tyrosine hydroxylase. Dopamine is further hydroxylated to norepinephrine or noradrenaline.The term "nor" denotes that the molecule does not contain the "R" or methyl group. REFERENCE : DM.VASUDEVAN.TEXTBOOK SEVENTH EDITION;page the : 234 and 235.